How does metalloproteins prevent the development of jaundice?
1. Decreasing RBC lysis
2. Inhibiting heme oxygenase
3. Increasing Y and Z receptors
4. Increasing glucoronyl transferase activity

Correct answer: 2. Inhibiting heme oxygenase

Explanation: Metalloproteins like Tin (Sn) and zinc (Zn) porphyrins and mesoporphyrins are under investigation for clinical use. These compounds inhibit the activity of heme oxygenase and thus decrease the formation of bilirubin, therby preventing the development of jaundice. Ref: Essential of PediatricsBy O P Ghai, 6th Edition, Page 173; Oxidative Stress and Free Radical Damage in Neurology By Natan Gadoth, Page 70.